All of the following are globular proteins except:
1. Prolamines
2. Albumin
3. Globulin
4. Myosin

Correct answer: 4. Myosin